All of the following statements are true regarding carbimazole as compared to propylthiouracil except?
1. Carbimazole cross placenta less than propylthiouracil
2. Carbimazole is more potent than propylthiouracil
3. Carbimazole can be used as single daily dose whereas propylthiouracil needs to given thrice a day
4. Carbimazole does not inhibit peripheral conversion of T4 to T3

Correct answer: 1. Carbimazole cross placenta less than propylthiouracil

Explanation: Propylthiouracil has less transfer across placenta, so is preferred in first trimester of pregnancy. Property Carbimazole PTU Potency Plasma half life Frequency of dosing Plasma protein binding Transfer across placenta Peripheral conversion Hepatotoxicity High More Once a day High High No effect Absent Low Less Thrice a day Low Low Inhibits Present